Radiographs are useful in evaluating success and failure at recalls because they do which of the following?
1. Record subjective symptoms
2. Show pulp vitality
3. May show failures that often occur without adverse signs or symptoms
4. Accurately diagnose apical pathosis

Correct answer: 3. May show failures that often occur without adverse signs or symptoms